A travelling nerve impulse does not depolarize the area immediately behind it, because :
1. It is hyperpolarized
2. It is refractory
3. It is not self propagating
4. The condition is always orthodromic

Correct answer: 2. It is refractory

Explanation: B i.e. It is refractory